In Bismuth/ Strasberg classification system cystic blow out is classified as:
1. Type A
2. Type B
3. Type C
4. Type D

Correct answer: 1. Type A